In children renal failure is defined as
1. Urine output less than 0.5ml/kg/hr for 8hr
2. estimated creatinine clearance decrease by 50%
3. Urine output less than 0.3ml/kg/hr for 24hr
4. Loss of renal function > 3 months

Correct answer: 3. Urine output less than 0.3ml/kg/hr for 24hr